Which of the following antitussive can lead to hallucinations
1. Morphine
2. Dextromethorphan
3. Diphenhydramine
4. Aprepitant

Correct answer: 2. Dextromethorphan

Explanation: Dextromethorphan is a NMDA antagonist used for Mild cough, which can lead to hallucination & addiction.